Which of these pass through aortic hiatus
1. Thoracic duct and azygos vein
2. Thoracic duct and gastric artery
3. Vagus nerve with oesophagus
4. Aorta with oesophagus

Correct answer: 1. Thoracic duct and azygos vein

Explanation: Ans. is 'a' i.e Thoracic duct and azygous vein Structures passing through the large openings in the diaphragmThe aortic openingaorta*thoracic duct* azygos vein*Oesophageal openingOesophagus*Gastric (vagus) nerves*Oesophageal branches of the left gastric artery*Vena caval openingthe inferior vena cava*branches of the right phrenic nerve*Structures passing through the small openings in the diaphragm*Each crus of the diaphragm is pierced by the greater* and the lesser splanchnic nerves*. The left crus is pierced in addition by the hemiazygos vein*Sympathetic chain passes behind the medial arcuate ligament*Subcostal vessels and nerves pass behind the lateral arcuate ligament*Larry's space or Foramen of Morgagni's - ( space between the xiphoid and the costal cartilage origins of the diaphragm) Superior epigastric vessels*Musculophrenic vessels pierce the diaphragm at the 8th or 9th costal cartilage.Also knowVertebral level of large openings in diaphragm* * Aortic opening - T12 * Oesophageal opening - T10*Venacaval opening - T8